Austin flint murmur is seen in cases of
1. Aortic stenosis
2. Aortic regurgitation
3. Hypertrophic obstructive cardiac myopathy
4. Ventricular stenosis

Correct answer: 2. Aortic regurgitation

Explanation: The Austin Flint murmur of chronic severe AR is a low-pitched mid to late apical diastolic murmur that sometimes can be confused with MS. The Austin Flint murmur typically decreases in intensity after exposure to vasodilators, whereas the murmur of MS may be accompanied by an opening snap and also may increase in intensity after vasodilators because of the associated increase in cardiac output.